In trichomonas - vaginalis:
1. Greenish discharge
2. White curdy discharge
3. Blood stained discharge
4. Milky discharge

Correct answer: 1. Greenish discharge

Explanation: (Greenish discharge) (125-Smaw's 13th) (107-S14th)* Trichomoniasis - 70% show typical discharge, which is profuse, thin creamy or slightly green in colour irriting and frothy discharge (almost self diagnostic)Multiple small punctate strawberry spots on the vaginal vault and portio-vaginalis of the cervix {strawberry vagina)* Candidiasis (Monilliasis) - Profuse curdly discharge and intensere pruritis.* Gardnerella - (Bacterial vaginosis) - white milky, nonviscous discharge adherent to the vaginal wall, fishy odour, when mixed with 10% KOH, Presence of clue cells.